After curettage re-epithelisation occurs in
1. 1-2 days
2. 2-3 days
3. one week (2-7 days)
4. two weeks

Correct answer: 3. one week (2-7 days)